All the following operations are done for gastroesophageal reflux disease Except
1. Heller's cardiomyotomy
2. Belsey operation
3. Nissen fundoplication
4. Hill procedure

Correct answer: 1. Heller's cardiomyotomy

Explanation: Antireflux surgery is the only effective long-term beneficial therapy. Laparoscopic fundoplication (most popular), Collis - Nissen vertical gastroplasty and fundoplication, resection of OG junction when metaplasia is present, Belsey Mark 4 operation (technically difficult) are the procedures used now. * Total (Nissen's) or partial (Toupet) fundoplication wherein after narrowing the crus of the diaphragm, mobilised fundus is wrapped around the area of O-G junction either totally or partially. *Hill's operation--Fixing O-G junction posteriorly to preaortic fascia--to an arcuate ligament. * Boerema operation--Fixing O-G junction anteriorly to the abdominal wall. * The Belsey-mark-4 operation is plication of the oesophagus to the diaphragm through many sutures and so as to push the lower end of oesophagus downwards and make it intra-abdominal--thoracic approach. Ref: SRB's manual of surgery,3 rd ed, pg no 724